what is the other name for anakastic personality disorder
1. obsessive compulsive personality disorder
2. paranoid
3. histirionic personality disorder
4. schizotypal personality disorder

Correct answer: 1. obsessive compulsive personality disorder

Explanation: * ANAKSTIC * Also known as OCPD( obsessive compulsive personality disorder) * Perfectionism * Rigidity * Punctuality * indecisiveness * Conscientiousness * excessive attention to detail extreme orderliness in one area of life Ref.Kaplon and Sadock, synopsis of psychiatry, 11 th edition, pg no.744